A 25-year female presented with mild pallor and moderate hepatosplenomegaly. Her hemoglobin was 92g/L and fetal hemoglobin level was 65%. She has not received any blood transfusion till date. She is most likely to be suffering from -
1. Thalassemia major
2. Thalassemia intermedia
3. Hereditary persistent fetal hemoglobin, homozygous state
4. Hemoglobin D, homozygous state

Correct answer: 2. Thalassemia intermedia